All of the following show genu recurvatum, except
1. Perthe's disease
2. Rheumatoid arthritis
3. Poliomyelitis
4. Rickets

Correct answer: 1. Perthe's disease